Bilabial consonants are
1. P, B, 9
2. P, B, M, W
3. M, L, W
4. T, L, M, W

Correct answer: 2. P, B, M, W

Explanation: Pronounced or articulated with both lips, as the consonants b, p, m, and wBaby starts producing bilabial words by the 4th month of age(Refer: OP Ghai's Textbook of Pediatrics, 8th edition, pg no. 32)